Whole range of COX products can be synthesized by?
1. Spleen,Liver
2. Lung,Liver
3. Spleen,Lung
4. Spleen,Blood vessel

Correct answer: 3. Spleen,Lung

Explanation: Cox Pathway products site of synthesis Whole range of COX products Lung and spleen Thromboxane Primarily platelets Prostacyclins Endothelium of blood vessels Reference: Essentials Of Medical Pharmacology, 7th edition Page no 182